The normal narrowing in the middle of the oesophagus is caused by
1. Azygos vein
2. Hemiazygos vein
3. Right main stem bronchus
4. Left main stem bronchus

Correct answer: 4. Left main stem bronchus

Explanation: Middle constriction of oesophagus is due to left bronchus .27.5cm/11 inch from insisor teeth. BD CHAURASIA'S HUMAN ANATOMY VOLUME 1, 6TH Edition . page no 282, fig 20.7